Mycobacterium tuberculosis infection in human is most commonly because of -
1. Contact
2. Inhalation
3. Infiltration
4. Inoculation

Correct answer: 2. Inhalation

Explanation: Tuberculosis is transmitted mainly by droplet infection and droplet nuclei generated by sputum positive patients with pulmonary tuberculosis . Ref:PARK'S TEXTBOOK OF PREVENTIVE AND SOCIAL MEDICINE 23rd edition , Page :181